The pontic that should be used in the posterior
mandibular area is described by the term
1. Marble contact
2. Modified saddle
3. Saddle
4. Sanitary

Correct answer: 4. Sanitary